Lateral ventricle is connected to third ventricle by?
1. Foramen of Monro
2. Foramen of luschka
3. Foramen of magendie
4. Median foramen

Correct answer: 1. Foramen of Monro

Explanation: Ans. is 'a' i.e., Foramen of Monro Ventricles of brain These are cavities in the brain lined by ependyma and filled with CSF.They contain choroid plexuses with secrete CSF.These are four fluid filled intercommunicating cavities within the brain :- (i) two lateral ventricles (right and left), (ii) third ventricle, and (iii) fourth ventricle. Lateral ventricle communicates with third ventricle by interventricular foramen (foramen of Monro). Third ventricle communicates with fourth ventricle by cerebral aqueduct (aqueduct of sylvius).Fourth ventricle communicates with subarachnoid space by a median foramen (Mangendie) and two lateral (Luschka)foramina.